The infectivity of a convalescent case of cholera lasts for
1. Less than 7 days
2. 7-14 days
3. 14-21 days
4. 21-28 days

Correct answer: 3. 14-21 days

Explanation: Preclinical or incubatory carrier -The incubatory carriers are potent carriers (1-5 days)Convalescent carrier - Patient who has recovered from an attack of cholera may continue to excrete vibrios, during his convalescence for 2 -3 weeksContact or healthy carrier - Subclinical infection contracted through association with a source of infection. Duration < 10 days.Chronic carrier - Over 10 years(Refer: K. Park's Textbook of Preventive and Social medicine, 24thedition, pg no: 244)